Highest incidence of anemia in the tropics is due to -
1. Hookworm
2. Thread worm
3. Ascaris
4. Guinea worm

Correct answer: 1. Hookworm

Explanation: Option 1 Chronic hookworm infection with heavy worm load: In the intestine, adult worms attach to intestinal villi with their buccal teeth and feed on blood and tissue with the aid of anticoagulants. A few hundred worms in the intestine can cause hookworm disease, which is characterized by severe anemia and iron deficiency and protein energy malnutrition resulting from blood loss. Causes: Ground itch, Serpiginous tracks, Mild pneumonitis, GIT symptoms and Iron def. anemia Option 2, 3, 4 Thread worm/Pin worm/Seat worm /Enterobius vermicularis: does not cause anemia. Ascaris lumbricoides (Roundworm): causes GIT symptoms, Malabsorption, Intussusception and Loeffler syndrome. Dracunculus medinensis (Guinea worm): Causes Guinea worm disease or dracunculiasis